All of them are true about ERG except
1. Measures the potential difference of the neurosensory layer of retina
2. The negative A wave is produced by the hyperpolarization of the photoreceptors
3. The positive B wave is due to the bipolar and Muller's cells
4. Flash ERG is a good for detection of macular diseases

Correct answer: 4. Flash ERG is a good for detection of macular diseases

Explanation: Electroretinography (ERG) is the record of changes in the resting potential of the eye induced by a flash of light. Components of normal electroretinogram (ERG) a-wave. It is a negative wave possibly arising from the rods and cones (photoreceptors). b-wave. It is a large positive wave which is generated by Muller's cells, but represents the activity of the bipolar cells . c-wave. It is also a positive wave representing metabolic activity of pigment epithelium (seen only in dark adapted eye). A flash ERG requires a large area of retina to be abnormal for being detectable and thus in macular disorder where only small part of retina is involved , flash erg doesn't detect it